Chain of lakes appearance in ERCP is seen is
1. Acute Pancreatitis
2. Chronic Pancreatitis
3. Carcinoma Pancreas
4. Ductal Adenoma

Correct answer: 2. Chronic Pancreatitis

Explanation: B i.e. Chronic Pancreatitis